All the following are grievous injuries except-
1. Facial burns
2. Avulsion of nail
3. Fracture of a bone
4. Emasculation

Correct answer: 2. Avulsion of nail

Explanation: Ans. b (Avulsion of the nail). (Ref. Parikh, Textbook of FMT, 5th/310 and Reddy 16th ed. 240)GRIEVOUS INJURIES INCLUDE (ACCORDING TO SEC. 320IPC)1. Fracture or dislocation of a bone or tooth2. Facial or head permanent disfiguration3. Emasculation4. Permanent privation of sight of either eye5. Permanent privation of hearing of either ear6. Privation of any member of joints7. Any hurt which endangers life or which causes the victim to be in severe bodily pain or unable to follow his ordinary pursuits for a period of 20 days.